Motor supply to the muscles of the tongue is by:
1. Hypoglossal nerve
2. Facial nerve
3. Lingual nerve
4. Glossopharyngeal nerve

Correct answer: 1. Hypoglossal nerve

Explanation: All the intrinsic and the extrinsic muscles, except the palatoglossus are supplied by the hypoglossal nerve. The palatoglossus is supplied by the cranial root of the accessory nerve through the pharyngeal plexus Lingual nerve is the nerve of general sensation and the chorda tympani is the nerve of taste for the anterior two thirds of the tongue except vallate papillae